Which of the following trace element deficiency leads to abnormal collagen cross-linking?
1. Zinc
2. Flouride
3. Selenium
4. Copper

Correct answer: 4. Copper

Explanation: ElementFunctionBasis of DeficiencyClinical FeaturesCopperComponent of cytochrome c oxidase, dopamineb-hydroxylase, tyrosinase, lysyl oxidase, andunknown enzymes involved in cross-linking collagenInadequate supplementation inaificial dietInterference with absorptionMuscle weaknessNeurologic defectsAbnormal collagen cross-linkingRef: Robbins and Cotran Pathologic Basis of Disease; 9th edition; Chapter 9; Environmental and Nutritional Diseases; Page no: 442; Table 9-10